To diagnose well being of fetus, most reliable method :
1. L:S ratio
2. HPL levels
3. Kick test
4. Ultrasound

Correct answer: 4. Ultrasound

Explanation: Ultrasound